Lipodermatosclerosis is most commonly seen on:
1. Anterior aspect of leg
2. Medial aspect of leg
3. Anterior aspect of thigh
4. Posterior aspect of thigh

Correct answer: 2. Medial aspect of leg

Explanation: Lipodermatosis is mostly seen over the medial aspect of the leg above the medial malleolus. Lipodermatosclerosis: It is also known as sclerosing panniculitis. It is characterized by tender, subcutaneous nodules accompanied by hyperpigmentation, telangiectasias, tortuous veins, edema and woody infiltration. It usually affects women older than 40 years of age. Histopathology shows inflammation of the panniculitis in addition to dermal sclerosis. Treatment consist of application of support stockings with a 30 -40 mmHg gradient. Ref: Primer on the Rheumatic Diseases edited by John H. Klippel, 13th edn, page 496